COUNCILMAN BODIES are seen in -
1. Wilson disease
2. Alcoholic hepatitis
3. Acute viral hepatitis
4. Auto immune hepatitis

Correct answer: 3. Acute viral hepatitis

Explanation: Acidophilic degeneration in which cytoplasm becomes intensely eosinophilic , nucleus becomes small and pyknotic and is eventually extruded from the cell , leaving behind necrotic acidophillic mass called Councilman body or acidophil body by the process called apoptosis Harshmohan page no. 611